Nephrocalcinosis is seen in which of the following
1. Hyperparathyroidism
2. Diabetes mellitus
3. Amylodisis kidneu
4. End stage kidney

Correct answer: 1. Hyperparathyroidism

Explanation: Disorders characterized by hypercalcemia such as hyperparathyroidism multiple Muslims vitamin D, intoxication metastatic bone disease or excess calcium intake may induce the formation of calcium stones and deposit of calcium in the kidney Refer Robbins p937k